In Peritonsillar abscess pain is referred to the ear by:-
1. V Nerve
2. IX Nerve
3. X Nerve
4. VII Nerve

Correct answer: 2. IX Nerve

Explanation: Peritonsillar Abscess: Collection of pus in the peritonsillar space which lies between the capsule of tonsil and the superior constrictor muscle. C/F: General- they are d/t septicemia and resemble any acute infection - Fever - Chills and rigor - General malaise - Body ache, headache - Nausea and constipation Local: - U/L severe pain in throat - Odynophagia - Muffled/ Hot potato voice - Foul breath - Ipsilateral earache d/t referred pain IXth cranial nerve which supplies both the tonsil and the ear. - Trismus